Acid fast staining can be positive with?
1. Tubercle bacilli
2. Nocardia
3. Lipofuschin
4. All

Correct answer: 4. All

Explanation: Ans. d (All).(Ref. Microbiology by Ananthnarayan, 7th/357; Harsh Mohan, Pathology, 4th ed., 32)ACID FAST STAINING IS POSITIVE with {Mnemonic = MMC BLINC) :- Mycobacterium tuberculosis, - Mycobacterium leprae, - Cyclospora, - Bacterial spores, - Lipofuschin pigment,- Isospora, - Nocardia, - Cryptosporidium.Educational points:# Nocardia are aerobic, crooked, branching, beaded, gram +ve and partially acid fast filaments on microscopy. TMP- SMX is Rx of choice.# Lipofuschin is "wear and tear" lipid pigment in cells and can be stained by fat stains but differs from other lipids in being fluorescent and acid fast.